Total number of dehydrogenases in Krebs cycle
1. 3
2. 2
3. 4
4. 5

Correct answer: 3. 4

Explanation: There are total 4 dehydrogenases present in kreb's cycle: 1. Isocitrate dehydrogenase 2. a- Ketoglutarate dehydrogenase complex 3. Succinate dehydrogenase 4. Malate dehydrogenase